All are findings in a dead born fetus except
1. Maceration
2. Spalding's sign
3. Robert's sign
4. Caput succedaneum

Correct answer: 4. Caput succedaneum

Explanation: Findings in dead born fetus: Rigor mortis at delivery Maceration Spalding's sign Robert's sign Mummification Putrefaction Ref: FORENSIC MEDICINE ANF TOXICOLOGY Dr PC IGNATIUS THIRD EDITION PAGE 346